Spider leg appearance is found in –
1. Polycystic kidney
2. Pyelonephritis
3. Hydronephrosis
4. Renal artery stenosis

Correct answer: 1. Polycystic kidney

Explanation: Spider leg appearance on IVP is seen in Polycystic kidney disease.